Criminal responsibility of an intoxicated person is under:
1. Sec. 82 IPC
2. Sec. 84 IPC
3. Sec. 85 IPC
4. Sec. 90 IPC

Correct answer: 3. Sec. 85 IPC

Explanation: Ans. Sec. 85 IPC